Cell that can form the maximum number of other cells in the body is called?
1. Totipotent
2. Multipotent
3. Pluripotent
4. Lineage stem cells

Correct answer: 1. Totipotent

Explanation: Totipotent cells- can form maximum no of other cells in body e.g. cells of zygote Note: Totipotent cells gives rise to teratoma B - multipotent - gives rise to different types of cells, except cells of placental tissue. C - pluripotent: gives rise to cell belonging to more than one lineage e.g. hematopoietic stem cells